Cellulitis is a.
1. Nonsuppurative and non-invasive
2. Suppurative and non-invasive
3. Nonsuppurative and invasive
4. Suppurative and invasive

Correct answer: 3. Nonsuppurative and invasive

Explanation: Cellulitis Non-suppurative, invasive infection of tissues, which is usually related to the point of injury. Poor localisation in addition to the cardinal signs of spreading inflammation. Organisms such as Beta-haemolytic streptococci, staphylococci and C. perfringens. Followed by Tissue destruction, gangrene and ulceration caused by proteases Systemic signs- chills, fever and rigors.